Which of the following is true about the composition of breast milk?
1. It has more protein than cow's milk
2. It has more carbohydrates than cow's milk
3. It has lesser PUFA than cow's milk
4. It has more vitamin K than cow's milk

Correct answer: 2. It has more carbohydrates than cow's milk

Explanation: Composition of Breast Milk (c.f Cow Milk (CM)) 1. Carbohydrates - Lactose concentration in BM (7g/dl) > CM (4.5g/dl) 2. Proteins - BM (1 g/dl) < CM (3.5 g/dl) - BM richer in whey protein (lactalbumin) which is more easily digestible than casein in CM. - BM contains adequate amount of cysteine, Taurine, Methionine - Vital for CNS development 3. Lipids - BM is richer in PUFA & DHA (Docosahexaenoic Acid) - helps in CNS development of baby 4. Minerals - Iron in BM - more easily absorbable - Ca:P ratio in BM favours Calcium absorption (CM - more phosphate; leads to less calcium absorption; therefore predominantly CM fed baby - more risk of hypocalcemia & scurvy) 5. Vitamins:- BM contains adequate amount of all vitamins except: - Vit D - (Supplement 400IU/day throughout infancy) - Vit K - (1 mg IM to all babies at birth to prevent hemorrhagic disease of new born) - Vit B12 - (In strictly vegan mothers) 6. Anti - Infective Substances Present in BM Are: Mnemonic: "Tech for PLAB" TGF - b Phagocytic macrophages PABA (Para Amino Benzoic Acid) Lactoferrin Lysozyme Antibodies especially lgA Bifidus factor Bile stimulated lipase